Adson test is used for determining vascular suffiency. It is useful in -
1. Peripheral vascular disease
2. Varicose veins
3. Cervical rib
4. AV fistula

Correct answer: 3. Cervical rib

Explanation: Ans. is 'c' i.e., Cervical rib. Adson test -It is a prorocative test for thoracic outlet syndrome. This test is positive in cases of compression of subclavian artery as noted by a radial pulse deficit when patient is placed in positions provoking compression of subclavian artery by a cervical rib or tightehed anterior and middle scalene muscles.